Stereotactic radiosurgery is done for
1. Glioblastoma multiforme
2. Medulloblastoma spinal cord
3. Ependymoma
4. AV malformation of brain

Correct answer: 4. AV malformation of brain

Explanation: Stereotactic Radiosurgery SRS is a non-surgical radiation therapy used to treat functional abnormalities & small tumors of brain Deliver precisely - targeted concentrated dose of radiation in fewer high-dose treatments to a defined volume in the brain When SRS is used to treat body tumors, its called stereotactic body radiotherapy (SRBT) Primary risks of stereotactic radiosurgery are radiation necrosis & radiation injury to surrounding structures Common uses of Stereotactic Radiosurgery (SRS) Brain tumor (Benign, malignant, primary & metastatic Tumors, single & multiple) Beingn lesions of the cranial nerves Arteriovenous malformation Trigeminal neuralgia SRBT is currently used and /or being investigated for use in treating malignant or benign small-to-medium size tumors of lung, liver, abdomen, spine, prostate, head and neck Ref: Sabiston 20th edition Pgno : 1923